Maximum dose of xylocaine with out adrenaline that can be given in 60kg adults is
1. 500mg
2. 300mg
3. 400mg
4. 600mg

Correct answer: 2. 300mg